A 16 year old girl who was sexually abused has no recollection for the event and is not able to remember anything despite her best efforts. What is the diagnosis-
1. Dementia
2. Dissociative amnesia
3. Factitious disorder
4. Malingering

Correct answer: 2. Dissociative amnesia

Explanation: Avoidance and 'dissociative' symptoms, such as difficulty in recalling the events at will, detachment, an inability to feel emotion ('numbness'), and a diminished interest in activities. There is avoidance of reminders of the events and sometimes there is depersonalization and derealization.